As compared to unfractionated heparin, low molecular weight heparins
1. Are absorbed more uniformly when given subcutaneously
2. Require more frequent laboratory monitoring
3. Cannot be given to patients with heparin induced thrombocytopenia
4. Predispose to a higher risk of osteopenia

Correct answer: 1. Are absorbed more uniformly when given subcutaneously

Explanation: Low molecular weight heparin has higher subcutaneous bioavailability. Lab monitoring is not required unlike heparin. LMWH has lower risk of osteoporosis and lower incidence of thrombocytopenia. From medical pharmacology padmaja 4th edition Page no 337, 339